Which among the following is the most frequent manifestation of MEN 1?
1. Parathyroid hyperplasia
2. Pituitary adenoma
3. Adrenal adenoma
4. Bronchial carcinoids

Correct answer: 1. Parathyroid hyperplasia

Explanation: MEN 1 is an autosomal dominant disorder due to a defect in 11q13, which encodes for a 610-amino-acid nuclear protein, menin. Patients with MEN1 develop hyperparathyroidism due to parathyroid hyperplasia in 95-100% of cases, pituitary adenomas in 54-80%, adrenal adenomas in 27-36%, bronchial carcinoids in 8%. Ref: Harrisons Principles of Internal Medicine, 18th Edition, Page 3060.